All the following are derived from II arch except
1. Incus
2. Stylohyoid ligament
3. Stapes
4. Smaller cornu of hyoid

Correct answer: 1. Incus

Explanation: HUMAN EMBRYOLOGY-INDERBIR SINGH TENTH EDITION-PAGE NO:131 The cartilage of the first arch is called Meckel's cartilage. The incus and malleus are derived from its dorsal end.